Digoxin is contraindicated in:
1. Supraventricular tachycardia
2. Atrial fibrillation
3. Congestive heart failure
4. Hypertrophic obstructive cardiomyopathy

Correct answer: 4. Hypertrophic obstructive cardiomyopathy

Explanation: Ans. (D) Hypertrophic obstructive cardiomyopathy(Ref: KDT 8th/e p560, 561)Non selective b-blockers (propranolol) are the agents of choice for HOCM.In hypertrophic obstructive cardiomyopathy (HOCM), the LV outflow tract is narrowed during systole due to hypertrophic septum. Obstruction is worsened by:(a) Factors increasing myocardial contractility.-Digitalis-Sympathetic stimulation(b) Factors decreasing LV filling:-Valsalva maneuver-Peripheral vasodilators